Loop diuretics acts on :
1. PCT
2. DCT
3. Thick ascending limb of loop of Henle
4. Collecting duct

Correct answer: 3. Thick ascending limb of loop of Henle